HDN is seen due to deficiency of vitamin:
1. A
2. C
3. K
4. E

Correct answer: 3. K

Explanation: C i.e. K